45 years female with 3 months menorrhagia. USG showing 2 cm submucosal fibroid. First line of management is
1. Ocp for 3 months
2. Progesterone for 3 months
3. Endometrial sampling
4. Hysterectomy

Correct answer: 3. Endometrial sampling

Explanation: * American College of Obstetricians and Gynecologists recommends endometrial assessment in any woman older than 45 years with AUB, and in those younger than 45 years with a history of unopposed estrogen exposure such as seen in obesity or polycystic ovarian syndrome (PCOS), failed medical management, and persistent AUB. * Then management is done accordingly depending upon HPE report. Ref:- Williams gynecology 3rd Edition; Pg num:- 184